Granulomatous disease amongst these is:
1. Leprosy
2. Crohn's disease
3. Syphilis
4. All of the above

Correct answer: 4. All of the above

Explanation: All of the above are associated with granulomatous inflammation Granulomatous inflammation:- It is a type of Chronic inflammation characterized by collection of activated macrophages, often with T lymphocytes, and sometimes associated with central necrosis Granuloma formation:- is a cellular attempt to contain an offending agent which is difficult to get rid of Types:- Immune granulomas Foreign body granulomas